Causative organism of SARS
1. H1N1
2. Corona virus
3. Rotavirus
4. RSV

Correct answer: 2. Corona virus